Hypopigmented patches can be seen in :
1. Becker naevus
2. Freckles
3. Nevus Ito
4. Nevus anemicus

Correct answer: 4. Nevus anemicus

Explanation: D i.e. Naevus anemicus